Selegiline acts by:
1. MAO-A inhibition
2. MAO-B inhibition
3. COMT inhibition
4. Dopamine receptor stimulator

Correct answer: 2. MAO-B inhibition

Explanation: (Ref: Katzung 14th ed. pg. 499)* After release of DA in synaptic cleft, it is metabolized either by MAO-b or by COMT (catechol-ortho methyl transferase)* In order to prevent this metabolism following drugs can be given, which will enhance DA availability:# MAO-b inhibitor: Selegiline, Rasagiline, safinamide# COMT inhibitor: Entacapone, TolcaponeDrugs stimulating DA receptor:* Ergot Derivative: Bromocriptine, Cabergoline* Non-Ergot: Pramipexole, Ropinirole, Rotigotine (available as transdermal patch)